All are true regarding Sample Registration System (SRS) EXCEPT:
1. Initiated in the 1960
2. Estimates of birth and death rates
3. Dual-record system
4. Survey should be done every year

Correct answer: 4. Survey should be done every year

Explanation: (Survey should be done every year) (743-Park 20th)Sample Registration System (SRS) - civil registration is deficient in India.* SRS was initiated in the mid-1960 to provide reliable estimates of birth and death rates at the National and state levels.* SRS is a dual-record system consisting of continuous enumeration of births and deaths by an enumerator and an independent survey every 6 months by an investigator-supervisor* It is major source of health information.